Most common site of genital tuberculosis is?
1. Fallopian tubes
2. Uterus
3. Ovary
4. Fimbriae

Correct answer: 1. Fallopian tubes

Explanation: ANSWER: (A) Fallopian tubesREF: Shaw 14th edition p. 139"Most common site od genital tuberculosis id fallopian tube"Genital Tuberculosis:Secondary to focus anywhere elseMost common route of spread- HematogenousMost common route of transmission to endometrium - retrograde spreadMost common site - fallopian tubeMost common symptom- infertility